Man is the terminal end for -
1. Gonococcus
2. Treponema
3. Tetanus
4. Ankylostomiasis

Correct answer: 3. Tetanus